In acute pulmonary embolism the most frequent ECG finding is
1. S1Q3T3 pattern
2. P.pulmonale
3. Sinus tachycardia
4. Right Axis deviation

Correct answer: 3. Sinus tachycardia

Explanation: The ECG is often normal but is useful in excluding other important differential diagnoses, such as acute myocardial infarction and pericarditis. The most common findings in PE include sinus tachycardia and anterior T-wave inversion but these are non-specific; larger emboli may cause right heart strain revealed by an S1Q3T3 pattern, ST-segment and T-wave changes, or the appearance of right bundle branch block. Arterial blood gases typically show a reduced PaO2 and a normal or low PaCO2, and an increased alveolar-arterial oxygen gradient, but may be normal in a significant minority. A metabolic acidosis may be seen in acute massive PE with cardiovascular collapse. An elevated D-dimer is of limited value, as it may be raised in a variety of other conditions, including myocardial infarction, pneumonia and sepsis. However, low levels, particularly in the context of a low clinical risk, have a high negative predictive value and further investigation is usually unnecessary . The result of the D-dimer assay should be disregarded in high-risk patients, as further investigation is mandatory even when normal. The serum troponin I may be elevated, reflecting right heart strain. Ref Davidson edition23rd pg 620